Pleomorphism is seen in
1. Toxocara
2. Chickenpox
3. Rubella
4. Smallpox

Correct answer: 2. Chickenpox